Which of the following does not causes pneumonia?
1. Mumps
2. Measles
3. RSV
4. Influenza

Correct answer: 1. Mumps

Explanation: ANSWER: (A) MumpsREF: Nelson's 18th ed p. 1795"Pneumonia is known complication of measles"Viruses commonly causing pneumonia in childrenRSVInfluenzaAdenovirusRhinovirusPara influenza virus